The following is true about the term 'New Families':
1. It is a variant of the 3-generation family
2. It is applied to all nuclear families of less than 10 years duration
3. It is a variant of the joint family
4. It is applied to all nuclear families of less than 2 years duration

Correct answer: 2. It is applied to all nuclear families of less than 10 years duration

Explanation: New family: A family with marriage duration of less than 10 years. - It is a variant of nuclear (elementary/unitary) family. - New family concept is important in view of studies related to family planning.